Mucoperichondrial flap in septoplasty is made on?
1. Alar cartilage
2. Septal cartilage
3. Maxillary spine
4. Sphenoid spine

Correct answer: 2. Septal cartilage

Explanation: Ans. is 'b' i.e., Septal cartilage Steps in septoplasty A unilateral incision is made in the mucoperichodrial flap at the lower border of septal cartilage on the left side in right handed persons. The mucoperichondrial flap is elevated on one side making an anterior tunnel. Another incision is made in the mucoperiosteum over the nasal spine on the same side, elevating the mucoperiosteum from nasal spine on both sides thus making two more tunnels called inferior tunnels. Two tunnels are joined by sharp dissection. Septal cartilage is then separated from vomero-ethmoid bones posteriorly and nasal spine inferiorly. Maxillary crest is removed to realign septal cartilage. Bony septal deformity is corrected by removing deformed part. Deformed septal cartilage is corrected. Trans-septal sutures are put to coapt mucoperichondrial flaps. Nasal pack is put. Thus (coming to question) Mucoperichondrial flap (and tunnel) are made on septal cartilage. Mucoperiosteal flap (and tunnels) are made on nasal spine.